Transection of the anterolateralspinothalamic tract results in:
1. Areflexia
2. Cerebellar incoordination
3. Complete flaccid paralysis
4. Loss of pain and temperature sensation

Correct answer: 4. Loss of pain and temperature sensation

Explanation: Transection of the anterolateral spinothalamic tract results in loss of pain and temperature sensations, starting one segment below the lesion. Anterior horn destruction results in complete flaccid paralysis and areflexia at the level of the lesion. Corticospinal tract transection results in spastic paresis below the lesion. Posterior spinocerebellar tract and ventral spinocerebellar tract transection results in cerebellar incoordination.